Normal cerebral blood flow in ml/min -
1. 55
2. 150
3. 750
4. 1000

Correct answer: 3. 750

Explanation: Ans. is i.e., 750 o The cerebral blood flow (CBF) is about 750 mf/ntin (15% of total cardiac output), or 54 ml/100 gm brain tissue per minute. Oxygen ConsumptionResistace(R units) Blood flowArteriovenousOxygen Difference (mL/L)Percentage of Total RegionMass (kg)mL/ minmL/100 g/minmL/minmL/100g/minAbsolutePer kgCardiac OutputOxygen ConsumtionLiver2.6150057.734512.03.69.427.820.4Kidneys0.31260420.014186.04.31.323.37.2Brain1.475054.062463.37.2 110.113.918.4Skin3.646212.825120.311.7 i12.18.64.8Skeletal muscle31.08402.760500.26.4 V>8.415.620.0Heart muscle0.325084.0114299.721.46.44.711.6Rest of body23.83361.4129440.216.1 3f13.26.217.6Whole body63.054008.646 :2500.41.0 t>3.0100.0100.0